Which of the following is the most abundant diet of animal origin?
1. Phospholipids
2. Cholesterol esters
3. Cholesterol
4. Triglycerides

Correct answer: 4. Triglycerides

Explanation: The triacylglycerols are esters of the trihydric alcohol glycerol and fatty acids and are available abundantly in animal diet Ref: Harper's Biochemistry; 30th edition; Chapter 21; Lipids of Physiologic Significance